True about Rabies  a) Bats Transmit disease in some parts of the world  b) Brainstem encephalitis is characteristic c)  Negri bodies commonly found in thalamus and anterior pituitary  d) Paraesthesia is not seen  e) Recovery is the usual course
1. ab
2. abc
3. abd
4. bcd

Correct answer: 1. ab